A 15 year old child comes with multiple movements of hand and whistling sounds, which are preceded by premonitory urge and is unable to do work at school and at home and leads to distress. These had an onset when he was 10 years age. He showed some improvement with haloperidol. What is the diagnosis?
1. Generalized anxiety disorder
2. Obsessive-compulsive disorder
3. Panic disorder
4. Tourette's syndrome

Correct answer: 4. Tourette's syndrome

Explanation: Ans. D. Tourette's syndromeIn the question person is suffering from Tourette's syndromeTourette's Disorder (DSM-5): Both multiple motor & 1 or > vocal tics have been present at some time during illness, although not necessarily concurrently.Tics may wax & wane but persist for >1 year since 1st tic onsetOnset is before age 18 years.